Mortality of rabies is ?
1. 25%
2. 50%
3. 75%
4. 100%

Correct answer: 4. 100%

Explanation: Ans. is 'd' i.e., 100% Rabies Rabies is primarily a zoonotic disease of warm-blooded animals, particularly carnivorous such as dogs, Cats, Jackals and wolves.